Not true among the following are
1. Anterior intercostal arteries of 7th, 8th, 9th and 10th Intercostal spaces are the branches of Musculophrenic Artery
2. Superior epigastric artery passes through foramen of Morgagni to supply Rectus sheath
3. 1st and 2nd posterior intercostal artery arise from Costocervical trunk
4. Root value of Intercostobrachial nerve is T2

Correct answer: 1. Anterior intercostal arteries of 7th, 8th, 9th and 10th Intercostal spaces are the branches of Musculophrenic Artery

Explanation: Anterior intercostal arteries of 7th, 8th, 9th Intercostal spaces are the branches of Musculophrenic Artery. There is no 10th intercostal space.